Magenta tongue is found in
1. Riboflavin deficiency
2. Scarlet fever
3. Familial dysautonomia
4. Median rhomboid glossitis

Correct answer: 1. Riboflavin deficiency